All of the statements about quarantine are true except-
1. It is synonymous with isolation
2. Absolute quarantine is restriction during the incubation period
3. Exclusion of children from schools is an example of modified quarantine
4. Quarantine should not be longer than the longest incubation period

Correct answer: 1. It is synonymous with isolation

Explanation: Ans. is 'a' i.e., It is synonymous with isolation o By definition both isolation and quarantine restrict the movement of individuals. o But, quarantine and isolation are not synonymous. o Quarantine is done on individual who is not sick but has been exposed, while isolation is done on ill or infected individual. o Period of quarantine is max incubation period, while period of isoalation is equal to period of communicability. o If a quarantined individual becomes sick, isolation is considered. Types of quarantine a) Absolute quarantine --> Restriction of movement for maximum incubation period. b) Modified quarantine --> A selective partial limitation of freedom of movement, such as exclusion of children from school. c) Segregation --> The separation for special consideration, control of observation of some part of a group of persons from the other to facilitate control of a communicable disease, e.g., removal of susceptible children to homes of immune persons.